Left atrial enlargement is best seen with:
1. Chest X-ray AP view
2. Chest X-ray left lateral view
3. Barium swallow right anterior oblique view
4. Barium swallow left anterior oblique view

Correct answer: 3. Barium swallow right anterior oblique view

Explanation: Ans. Barium swallow right anterior oblique view